Monocytes remains in the circulation for:
1. 1-3 days
2. 24 hours
3. 12 hours
4. 6 hours

Correct answer: 1. 1-3 days

Explanation: Ans. A: 1-3 daysMonocytes enter the circulation from the bone marrow and remains in circulation for about 72 hours. They then enter the tissues and become tissue macrophages. The tissue macrophages include Kupffer cells of liver, pulmonary alveolar macrophages and microglia in the brain